Natural membrane condom protects against:
1. Conception
2. STIs
3. Both of the above
4. None of the above

Correct answer: 1. Conception

Explanation: - Natural membrane condoms are made up of cecum of lamb, and protect only against pregnancy/ conception. - It doesnot protect against STI, as viruses can easily pass through the pores.